The most common lesion to simulate a cementoblastoma is
1. Periapical cemento-osseous dysplasia
2. Periapical sclerosing osteitis
3. Dense bone island,
4. Hypercementosis

Correct answer: 1. Periapical cemento-osseous dysplasia

Explanation: The most common lesion to simulate a cementoblastoma is a solitary lesion of periapical cemento-osseous dysplasia. The differential interpretation may be difficult in some cases, and the presence or absence of symptoms or observation of the lesion over a period of time may be required. Generally, the radiolucent band around the cementoblastoma is usually better defined and
uniform than with cemento-osseous dysplasia. Also, owing to the pattern of concentric growth of the cementoblastomas, the overall shape is more uniform and spherical than the more irregular undulating outline of the cementoosseous dysplasia. Other lesions that may be included in the differential interpretation may include periapical sclerosing osteitis, dense bone island, and hypercementosis.